Reverse transcriptase is a RNA dependent DNA polymerase. Which of these use it?
1. Hepatitis A virus
2. Hepatitis B virus
3. Hepatitis E virus
4. Hepatitis C virus

Correct answer: 2. Hepatitis B virus

Explanation: Ans. (b) Hepatitis B virus Set ot te,, DNA polymerase of HBV has both DNA-dependent DNA polymerase and RNA-dependent reverse transcriptase activities. Not Instead of DNA replication directly from a DNA template, hepadnaviruses rely on reverse transcription (effected by the DNA polymerase) of minus-strand DNA from a "pregenomic" RNA intermediate. Then plus-strand DNA is transcribed from the minus strand DNA template by the DNA-dependent DNA polymerase and converted in the hepatocyte nucleus to a covalently closed circular DNA, which serves as a template for messenger RNA and pregenomic RNA.